Maximum amount of glucose absorption occurs at:
1. PCT
2. DCT
3. Loop of henle
4. None

Correct answer: 1. PCT

Explanation: Glucose, amino acids, and bicarbonate are reabsorbed along with Na+ in the early portion of the proximal tubule.